Digoxin can accumulate to toxic level in patient with
1. Renal insufficiency
2. Chronic hepatitis
3. Advanced cirrhosis
4. Chronic pancreatitis

Correct answer: 1. Renal insufficiency

Explanation: Refer kDT 7/e 497 Digoxin incompletely distributes across the placental barrier. Most of the digoxin is eliminated unchanged by the kidneys. ... Renal failure also decreases the clearance of digoxin, and may cause accumulation to toxic levels if dosage is not adapted thoroughly.